The most common dental procedure contributing to vertical root fracture is
1. Prosthodontic treatment
2. Endodontic treatment
3. Periodontal treatment
4. Orthodontic treatment

Correct answer: 2. Endodontic treatment